Which of the following drug causes osteonecrosis by giving IV route?
1. Zolendronate
2. Dalteparin
3. Calcitriol
4. Zidovudine

Correct answer: 1. Zolendronate

Explanation: Ans. is 'a' i.e., Zolendronate o Bisphosphonates (e.g. zolindronate) can cause osteonecrosis ofjaw.